Which of the following is absent in hemolytic anaemia?
1. Increased indirect bilirubin
2. Jaundice
3. Increased reticulocyte count
4. Increased hematocrit

Correct answer: 4. Increased hematocrit

Explanation: Hemolytic anaemia

Increased indirect bilirubin
Jaundice
Decreased hematocrit